All are components of basement membrane, except
1. Tenascin
2. Laminin
3. Enatactin (Nidogen)
4. Rhodopsin

Correct answer: 4. Rhodopsin

Explanation: . Rhodopsin